Treatment of strangulated hernia is -
1. Observation
2. Immediate surgery
3. Manual reduction
4. Analgesics

Correct answer: 2. Immediate surgery